Multiple papillomatous lesions are seen in:
1. Greenspan lesion
2. Cowden’s syndrome
3. Gardner syndrome
4. Diabetes mellitus

Correct answer: 2. Cowden’s syndrome

Explanation: HPV types 6 and 11 are commonly associated with squamous papillomas. Multiple papillomatous lesions are seen in Cowden's syndrome. It is considered as cutaneous marker of breast cancer.